Pseudomembranous colitis, all are true except
1. Toxin A is responsible for clinical manifestation
2. Toxin B is responsible for clinical manifestation
3. Blood in stools is a common feature
4. Summit lesions are early histopathological finding

Correct answer: 3. Blood in stools is a common feature

Explanation: Blood in stools is not commonly seen in pseudomembranous colitis. Two high molecular weight exotoxins A and B are involved in the pathogenesis of the condition. Reference: Textbook of Microbiology; Anathanarayan and paniker's; 10th edition; Page no: 270